Which of the following is an ester linked local anaesthesia –
1. Cocaine
2. Lidocaine
3. Bupivacaine
4. Dubicaine

Correct answer: 1. Cocaine